Limiting amino acid in legumes ?
1. Lysine
2. Methionine
3. Alanine
4. Tryptophan

Correct answer: 2. Methionine

Explanation: Ans. is b, i.e., MethionineFood itemlimiting amino acidLegumesMethionine (also leucine & threonine)CerealsThreonine (also lysine)PulsesMethionine (also cysteine)MaizeTryptophan (also lysine)